Cu deficiency manfest as -a) Anaemiab) Cardiomyopathyc) Hepatomegalyd) Growth retardation
1. b
2. ad
3. ac
4. ab

Correct answer: 2. ad